All of the following are true about 'POSHAN' abhiyaan except?
1. Launched by Prime minister in March 2018
2. It is PM's overarching scheme for holistic nutrition
3. The focus is on health and nutrition in first 2000 days of life
4. Goals for this program include reduction in stunting, undernutrition, low birth weight and anemia

Correct answer: 3. The focus is on health and nutrition in first 2000 days of life

Explanation: POSHAN' abhiyaan- 'PM's Overarching Scheme for Holistic Nutrition'. Launched by Prime minister in March 2018. The focus is on health and nutrition in first 1000 days of life. The goals for this program include reduction in stunting, undernutrition & low birth weight by 2% per annum and anemia in young children by 3% per annum.